Perforators are not present at
1. Ankle
2. Medial calf
3. Distal to calf
4. Below inguinal ligament

Correct answer: 4. Below inguinal ligament

Explanation: Blood flows from the superficial to the deep veins through perforating (communicating veins) Perforators are located below the medial malleolus (inframalleolar perforator) in the medial calf (Cockett perforators) just above (Dodd perforator) & below the knee (Boyd perforator) at the level of the adductor canal (Hunterian perforator)